Contraceptive to be avoided in epilepsy :
1. OCP
2. Condom
3. IUCD
4. Mirena

Correct answer: 1. OCP

Explanation: Rifampicin, an antibiotic prescribed for a tubercular patient, reduces the absorption of the pill; hence, it is contraindicated in a tubercular patient on rifampicin. Other drugs interfering with OC are tetracycline and anticonvulsants, antifungal, cephalosporin and phenobarb. Ritonavir for HIV also interferes with absorption of OC. SHAW'S TEXTBOOK OF GYNECOLOGY 16th EDITION PAGE NO 367